The advantage of bladder drainage over enteric drainage after pancreatic transplantation is better monitoring of
1. HBA IC levels
2. Amylase levels
3. Glucose levels
4. Electrolyte levels

Correct answer: 2. Amylase levels

Explanation: The specific complications of enteric drainage include intra-abdominal sepsis and adhesive small intestinal obstruction.Bladder drainage of the exocrine pancreas may result in the following complications:* bladder/duodenal anastomotic leaks;* cystitis (owing to effect of pancreatic enzymes);* urethritis/urethral stricture;* reflux pancreatitis;* urinary tract infection;* haematuria;* metabolic acidosis (due to loss of bicarbonate in the urine).Urinary drainage of the pancreas has the advantage that urinary amylase levels can be used to monitor for graft rejection. However, after bladder drainage, urinary complications are commonBailey and Love 26th edition pg: 1427